According to biomedical waste, which of the following bags can be incinerated?
1. Red
2. Blue
3. Green
4. Yellow

Correct answer: 4. Yellow

Explanation: Ans. d (Yellow) (Ref. Park PSM 22nd/, 738)# Direct incineration means waste burnt without separation, while Indirect means disposition after separation. Incineration is also known as PYROLYSIS.# It is method of choice for disposal of solid wastes where suitable land is not available.# Items in yellow bag are incinerated.# Waste is shaded into fine particles and heated at about 800degC in absence of air or at low O2 atmosphere - waste is reduced to ash --which is disposed like ordinary waste.# Plastic, rubber, Hg thermometers should not be incinerated.Disposal of biomedical wastes/ Hospital garbageColor of bagWaste categoryTreatmentBlue (Puncture- proof container)Needles, syringes, scalpelAutoclaving/microwavingChemical treatment and destruction/shreddingYellowBody fluids/parts (Human anatomical wastes/ animal wastes, microbiological and solid wastes)Incineration/deep burialRedTubings, catheters, IV sets, Cotton, dressing and blood-stained material.Autoclaving/microwaving, Chemical treatmentBlackIncineration ash, Chemicals,Discarded medicines/cytotoxic drugs.Disposal in secured landfill